All is true about pseudocyesis except:
1. Abdominal enlargement
2. Patient is pregnant
3. Labor pains at expected date of delivery
4. Amenorrhea

Correct answer: 2. Patient is pregnant

Explanation: Patient is not pregnant is pseudocyesis. Though she falsely believes that and there are also associated changes suggestive of pregnancy. Pseudocyesis False pregnancy There is development of classical symptoms of pregnancy like: Abdominal enlargement Amenorrhea Subjective sense of fetal movements Breast engorgement Labour pains at expected date of delivery Extra edge: Couvade Syndrome In this syndrome, the partner of the pregnant woman reports that he is experiencing some of the symptoms of pregnancy, complaining of nausea, morning sickness, and often of toothache. These complaints generally resolve after a fewweeks.